Parenchymatous xerosis of conjunctivitis is caused by
1. Trachoma
2. Vitamin A deficiency
3. Vernal catarrh
4. Phlyctenular keratoconjunctivitis

Correct answer: 1. Trachoma

Explanation: A i.e. Trachoma Vit A deficiency causes epithelial xerosisQ. Parenchymal xerosis is caused by widespread destructive interstitial conjunctivitis as seen in trachoma Q, diptheria, Steven Jonson Syndrome, pemphigus or pemphigoid conjunctivitis, thermal, chemical or radiational burns of conjunctiva Q and exposure of conjunctiva.